Chromatolysis is seen in
1. Nissl substance
2. Mitochondria
3. Microtubule
4. Golgibody

Correct answer: 1. Nissl substance

Explanation: Chromatolysis is a part of proximal degradation in a nerve It occurs with in 24 hrs of injury Ref:Guyton and Hall textbook of medical physiology 12th edition,page number:74,75,76